Great auricular nerve originates from:
1. C2,C3
2. C3,C4
3. C4,C5
4. C5,C6

Correct answer: 1. C2,C3

Explanation: The great auricular nerve is a superficial branch of the cervical plexus composed of branches of spinal C2 and C3. It provides sensory innervation to the skin overlying the parotid gland, angle of mandible, external ear and posterior auricular region. The skin of the face is supplied three divisions of the trigeminal nerve except for the small area over the angle of mandible and parotid gland which is supplied by greater auricular nerve(C2,C3). Ref: Snell's Clinical Anatomy, 7th Edition, Page 722